Figure linearum labiorum rubroum refers to ---------------------
1. Nose print
2. Lip print
3. Ear print
4. Palate rugae

Correct answer: 2. Lip print

Explanation: Figura linearum labiorum rubroum refers to lip ridges. Suzuki has divided lip prints into five main types: * Type I represents grooves running vertically over the lips. * Type II represents the branched grooves * Type III represents the intersected grooves. * Type IV represents the reticular pattern, much like a wire mesh. * Type V represents all other patterns. These are irregular non-classified patterns.